Gestational diabetes is usually diagnosed at:
1. I trimester
2. II trimester and and III trimester beginning
3. At time of delivery
4. Perinatal period

Correct answer: 2. II trimester and and III trimester beginning

Explanation: II trimester and and III trimester beginning